Which of the following vessel is injured in Hemothorax patient?
1. Pulmonary artery
2. Pulmonary vein
3. Bronchial artery
4. Intercostal arteries

Correct answer: 4. Intercostal arteries

Explanation: "The most common cause of massive Hemothorax in blunt injury is continuing bleeding from torn intercostal vessels or occasionally from the internal mammary artery secondary to the fracture of ribs"